30 year old primigravida presents in gynaec OPD with amenorrhea of 36 weeks with pain in abdomen off & on since 7 days, and with history of strassman's metroplasty done . What is the best line of management:-
1. Induction of labour with PG's after pelvic assessment it.
2. Elective LSCS
3. Start oxytocin drip and closely monitor it.
4. Give antispasmodics and send the patient back

Correct answer: 2. Elective LSCS

Explanation: Unification surgical procedures (Strassman operation, Tompkins operation or Jones' wedge metroplasty operation) or hysteroscopic resection of uterine septum are the corrective procedures for Uterine anomalies The mode of delivery in all these corrective procedures is Cesarean section